Clonidine is used as an antihypertensive agent but if used as a fast intravenous injection, it can increase the blood pressure due to:
1. Stimulation of vasomotor center
2. Release of noradrenaline from adrenergic nerve endings
3. Agonistic action on vascular α2 adrenergic receptors
4. Cardiac stimulation

Correct answer: 3. Agonistic action on vascular α2 adrenergic receptors